Antihelminthic also acting as immunomodulator is-
1. Albendazole
2. Levamizole
3. Mebendazole
4. Piperazine

Correct answer: 2. Levamizole

Explanation: Ans. is 'b' i.e., Levamizole